Saliva dribbling from mouth is characteristic of:
1. Postmortem hanging
2. Antemortem hanging
3. Suicidal hanging
4. Homicidal strangulation

Correct answer: 2. Antemortem hanging

Explanation: B i.e. Antemortal hanging Ligature mark is a type of pressure/ pressure/ imprinted/ contact/ patterned - abrasionQ. In cheese cutter method, a narrow wire is used. The cause of death in judicial hanging is fracture - dislocation usually at C2 - C3 or C3 - C4 veebraeQ. Dribbling of saliva is a sure sign of hanging having taken place during life, as secretion of saliva a vital function cannot occur after deathQ. (Modi, but Parikh says it can occur in postmortem hanging also) If ligature knot presses on the cervical sympathetic the eye on the same side may remain open & its pupil dialated, indicating antemortem hanging (Le fascie sympathetique).